Drug used for absence seizure in <2 years:
1. Phenytoin
2. Carbamazepine
3. Ethosuximide
4. Lamotrigine

Correct answer: 3. Ethosuximide

Explanation: Ans. C. EthosuximideEthosuximide is drug which act via T type of calcium channel. It is indicated for absence seizures in children who are less than 2 years. If the child is more than 2 years then we can give valproate. The reason valproate is not given in less than 2 years is due to irreversible liver necrosis caused by the same.